A patient presents with intense chestpain of 2 hrs duration. ECG shows ST depression in leads I and VI to V4. There is associated T inversion and CPK-MB is elevated. All of the following should be included in the management of this patient, Except:
1. Nitroglycerine drip
2. Aspirin
3. Coronary angiography
4. Streptokinase

Correct answer: 4. Streptokinase

Explanation: Answer is D (Streptokinase) The patient is presenting as a case of Non ST Elevation MI (NSTEMI). Thrombolytic therapy is reserved for patient with STEMI and is not indicated in NSTEMI.